Salt losing Hydroxylase deficiency is characterized by-a) Hyponatremiab) Hyperkalemiac) Hypoglycemiad) Hypocalcemia
1. abc
2. bc
3. ad
4. bcd

Correct answer: 1. abc